‘Dipstick Test’ for rapid diagnosis of Plasmodium falciparum is based on
1. Arginine-rich protein
2. Serine-rich protein
3. Tyrosine-rich protein
4. Histidine-rich protein

Correct answer: 4. Histidine-rich protein

Explanation: ‘Dipstick Test’ is used for the rapid diagnosis of Plasmodium falciparum (Pf)
– Is a ‘rapid whole blood immuno-chromatographic test’
– Uses 2 antibodies specific for ‘Pf Histidine Rich Protein II Antigen’
– Is a ‘antigen capture assay’ – Colloidal gold is used in the test card
– Gives results in 3 – 5 minutes
– Specificity and negative predictive value is 99%
– Not as effective when parasite levels < 100 parasites/ml of blood
• Rapid tests for diagnosis of Pf:
– Dipstick test (Pf Histidine rich protein II – HRP II)
– Leishman stain
– Field’s stain
– Acridine orange.